Which of the following is an anti-androgenic drug?
1. Bicalutamide
2. Oxymetholone
3. Raloxifene
4. Stanozolol

Correct answer: 1. Bicalutamide